The parents of an 8-yr old boy complained of frequent severe bleeding on minor trauma

When they consulted a dentist for a decayed tooth, he advised for checking of prothrombin time (PT) and plasma thromboplastin time (PTT), which would be as follows
1. PT is normal, PTT is normal
2. PT is prolonged, PTT is prolonged
3. PT is normal, PTT is prolonged
4. PT is prolonged, PTT is normal

Correct answer: 3. PT is normal, PTT is prolonged